Most common site for carcinoma pancreas is -
1. Head
2. Body
3. Tail
4. Neck

Correct answer: 1. Head

Explanation: Ans. is 'a' i.e., Head o Most common site for carcinoma pancreas is head. The distribution as follows -* Head (75%)# Body (15%)# Tail (10%)o Ductal adenocarcinoma is the most common variety (90%)Also knowo Risk factors for pancreatic Ca* Cigarette smoking is the most consistent risk factor* As in other gastrointestinal cancers, diets high in fat and low in fibre, fruits and vegetables are thought to be associated with an increased risk,o Other risk factors are* Chronic pancreatitis* Diabetes* Obesityo Alcohol abuse or cholelithiasis are not risk factors for pancreatic cancer.